The gradient of alveolar arterial oxygen tension increases in A/E:
1. Diffusion defect
2. Right - Left shunt
3. Hypoventilation
4. Ventilation perfusion abnormality

Correct answer: 3. Hypoventilation

Explanation: C i.e Hypoventilation